In spinal anaesthesia the segmental level of :
1. Sympathetic block is lower than the sensory block
2. Sympathetic block is higher than the sensory block
3. Motor block is higher than the sensory block
4. Sympathetic, motor and sensory block has the same level

Correct answer: 2. Sympathetic block is higher than the sensory block